Most common site for non-Hodgkins lymphoma outside the lymph nodes is -
1. Liver
2. Spleen
3. Stomach
4. Brain

Correct answer: 3. Stomach

Explanation: Although extra-nodal lymphomas can arise in virtually any tissue, they do so most commonly in the GI tract, particularly stomach.